Which of the following gene mutation occurs in cleidocranial dysplasia:
1. CDFA1 gene.
2. CBFA1 gene.
3. CBFA2 gene.
4. None.

Correct answer: 2. CBFA1 gene.